Spring catarrh is which type of hypersensitivity reaction -a) type Ib) type IIc) type IIId) type IVe) type V
1. b
2. ad
3. ac
4. ab

Correct answer: 2. ad